Not true about quinine?
1. Causes hypotension
2. Acts as local irritant
3. Causes hyperglycemia
4. Decreases skeletal muscle contraction

Correct answer: 3. Causes hyperglycemia

Explanation: Ans. is 'c' i.e., Causes hyperglycemia Quinine* It is levo rotatory alkaloid obtained from cinchona bark. Its d-isomer quinidine is used as an antiarrhythmic. Quinine is an erythrocytic schizontocide for all species of plasmodium. Quinine has no effect on pre and exoerythrocytic stage. Mechanism of action is similar to chloroquine.* Other actions# Local irritant - causes nausea, vomiting, epigastric discomfort and on i.v. injection pain & local necrosis of muscles and venous thrombosis.# Anaesthetic, weak analgesic, antipyretic, cardiodepressant, antiarrhythmic, hypotensive action (rapid i.v. injection can cause marked fall in BP and collapse).# Quinine increases gastric secretion, directly decreases myocardial contractility and stimulates myometrium.# It affects hearing and vision at higher doses.# It decreases blood sugar due to release of insulin.* Adverse effects - Cinchonism, hypotension, cardiac arrhythmias, hypoglycemia, hypersensitivity reaction. It occasionally causes hemolysis - hemoglobinuria and kidney damage.* To prevent hypoglycemia, iv infusion of quinine should be given in 5% dextrose.* Uses - Malaria, Nocturnal muscle cramp, diagnosis of mysthenia gravis, varicose vein.* Quinine does not cause toxicity even at higher concentration in patients with malaria because of binding to alpha-1 acid glycoprotein, which is raised during infection.